The probable interval between throat infection and onset of rheumatic fever is -
1. 2-4 hours
2. 2-4 days
3. 2-4 weeks
4. 2-4 months

Correct answer: 3. 2-4 weeks